Which of the following is characterised by typical ash - grey slough
1. Furuncle
2. Carbuncle
3. Erysipeals
4. Cellulitis

Correct answer: 2. Carbuncle

Explanation: Ash - grey slough is typical of carbuncle.